Treatment of Hirsutism in PCOD all,drugs cannot be used are
1. Menopausal gonadotropin
2. GnRH
3. Spironolactone
4. Metformin

Correct answer: 1. Menopausal gonadotropin

Explanation: Medication of Hirsutism: Hormone suppressing Oral contraceptives Medroxyprogestrone Gonadotropin releasing hormone analogues Glucocorticoids Steroidogenic enzyme inhibitors Ketoconazole 5alpha reducatse inhibitors Finasteride Antiandrogens Spironolactone Cyproterone acetate Flutamide Insulin sensitizer Metformin Mechanical Electrolysis Lazer hair removal Oc pills These are first line drugs in management of Oligomenorrhea caused by PCOD Progestin component decreases LH resulting in decreased ovarian androgen production The estrogen component increases hepatic production of SHBG and decrease s free testosterone concentration And also reduces conversation of testosterone to dihydroepiandrosterone by inhibiting alpha reductase Ref Shaw 15/ e pg 117-118